Which of the following is a true neoplasm of functional
cementoblasts
1. Periapical cemental dysplasia
2. Familial cemental dysplasia
3. Benign cementoblastoma
4. Hypercementosis

Correct answer: 3. Benign cementoblastoma